Cardiac dominance is determined by coronary artery:
1. Supplying circulation to the SA node
2. Supplying circulation to the inferior portion of the interventricular septum
3. Supplying circulation to the interatrial septum
4. Supplying circulation to the anterior portion of the interventricular septum

Correct answer: 2. Supplying circulation to the inferior portion of the interventricular septum

Explanation: In 85% of patients the right coronary artery (RCA) is said to be "dominant" because it supplies circulation to the inferior portion of the interventricular septum the right posterior descending coronary artery/posterior interventricular artery.In these cases the RCA travels to the cross-section of the AV groove and the posterior interventricular (IV groove). Here, it gives rise to the right posterior descending coronary artery (PDA) branch which travels in the posterior IV groove and gives off several septal perforator branches (SP). The SP supply blood to the lower portion of the IV septum. Generally, the dominant RCA also gives rise to the AV nodal branch which supplies blood to the AV nodeThe dominant RCA also provides the right postero-lateral (PLA) branch to the lower postero-lateral portion of the left ventricle.The sinus or sino-atrial (SA) node branch originates in the proximal portion of the RCA in 60% of cases and as a left atrial branch of the Cx in the remaining 40% of cases. This is unrelated to whether the artery is "dominant" or not.